Hypervitaminosis of which of the following will cause bony abnormalities –a)  Vitamin Ab)  Vitamin Dc) Vitamin Cd)  Vitamin Ee)  Vitamin K
1. ac
2. a
3. ad
4. ab

Correct answer: 4. ab

Explanation: Hypervitaminosis A 

Excess of vitamin A can lead to rupture of lysosomal membrane.
Acute manifestations —4 Signs and symptoms are due to raised intracranial tension (pseudotuntor cerebri) --> headache, nausea, vomiting, drowsiness, bulging fontanelles, diplopia, papilledema and cranial nerve palsies.
Chronic intoxication —> Anorexia, weight loss, painful extremities, dry itchy desquamating skin, alopecia, coarsening of hair, hepatosplenomegaly, bone abnormalities and bony swelling.

About option 'b'

In hypervitaminosis D, there is excessive bone resorption (see previous explanation).